The result of increased preload on cardiac muscle is?
1. Lengthening of muscle fibre
2. Shortening of muscle fibre
3. No effect
4. Variable effect

Correct answer: 1. Lengthening of muscle fibre

Explanation: ANSWER: (A) Lengthening of muscle fibreREF: Ganongs 22nd edp. 572Preload is determined by amount of blood reaching the heart; it causes an increase in the muscle fiber length and therefore according to frank starling's law increased force of contraction